“Eugenics” is
1. A feeling of well-being or elation, may be drug related
2. the humane destruction of an animal accomplished by a method that produces rapid unconsciousness and subsequent death without evidence of pain or distress, or a method that utilizes anaesthesia produced by an agent that causes painless loss of consciousness and subsequent death
3. the study of hereditary improvement of the human race by controlled selective breeding
4. A state of being carried away by overwhelming emotion

Correct answer: 3. the study of hereditary improvement of the human race by controlled selective breeding